Down beat nystagmus could be due to:
1. Cerebellar lesion
2. Arnold-Chiari malformation
3. All of the above
4. None of the above

Correct answer: 3. All of the above

Explanation: Ans. All of the above